Drug not given in pregnancy -
1. ACE inhibitors
2. Penicillin
3. Methyldopa
4. Labetalol

Correct answer: 1. ACE inhibitors

Explanation: Ans. is 'a' i.e., ACE inhibitors Important drugs contraindicated pregnancyo Domperidoneo Lansoprazoleo Cisaprideo Morphineo Tetracyclineso Chloramphenicalo Aminoglycosideso Astemizoleo Diethylcarbamazineo Albendazole, mebendazoleo Warfarino Radioactive iodineo Lithiumo Cyclophosphamideo ACE inhibitorso AT-II antagonists